Factors which decrease insensible water losses are all, except -
1. Humidified air
2. Sedation
3. Hypothermia
4. Prematurity

Correct answer: 4. Prematurity

Explanation: Ans. is 'd' i.e., Prematurity o Prematurity increases insensible water loss.